A child presented to the casualty with seizures. On examination multiple oval hypo-pigmented macules were noted on the trunk, along with sub-normal IQ. Probable diagnosis of the child is:
1. Neurofibromatosis
2. Sturge-Weber syndrome
3. Tuberous Sclerosis
4. Incontinentia Pigmenti

Correct answer: 3. Tuberous Sclerosis

Explanation: Cardinal features :-skin lesions -Hypopigmented macules (ash leaf macules), Sub-normal IQ ( intellectual disability ) Seizures point towards a diagnosis of Tuberous sclerosis. MAJOR CRITERIA (AT LEAST 2 NEEDED TO DX) Pulmonary lymphangio leiomyomatosis Ungual fibroma Shagreen patch Hypomelanotic macules (>=3) Cardiac rhabdomyoma Angiomyolipoma of kidney Retinal hamartoma Facial angiofibroma Astrocytoma (giant cell) Subependymal nodules Tubers (cortical) Drug of choice for infantile spasms in a child with Tuberous sclerosis is Vigabatrin